Suxamethonium is available as a clear, colourless aqueous solution. The shelf-life of suxamethonium is:
1. 6 months
2. 1 year
3. 2 years
4. 3 years

Correct answer: 3. 2 years

Explanation: Ans. c. 2 years (Ref: Lees Synopsis on Anesthesia 13th/183)'Succinylcholine has a shelf life of around 18 months, generally stored at 20-40 C and can be stored upto 2 years.'- Lees Synopsis on Anesthesia 13th/183